Recurrent obstruction, mass per rectum and diarrhoea in child –
1. Intussuception
2. Rectal prolapse
3. Internal hernia
4. Haemorrhoids

Correct answer: 1. Intussuception

Explanation: Intussusception may cause

Diarrhoea with currant jelly stool
Recurrent obstruction
Mass per rectum due to advancing intestinal prolapse.

About other options

Rectal prolapse, internal hernia and haemorrhoids do not cause diarrhea.